Amongst the following cause of dementia, neurofibrillary tangles, senile plaques and amyloid angiopathy are associated with:
1. Creutzfeldt-Jacob disease
2. Vascular dementia
3. Niemann Pick disease
4. Alzheimer's disease

Correct answer: 4. Alzheimer's disease

Explanation: Ans. D i.e. Alzheimer's disease